Necrotic nodules in lung are seen in -
1. TB
2. Sarcoidosis
3. RA
4. All of the above

Correct answer: 4. All of the above

Explanation: Ans. is 'd' i.e., All of the above o All dieseases given in options can cause pulmonary nodules with necrosis.o Pulmonary nodules with necrosis can be caused by1. Infective causes - TB, Histoplasma, syphilis, coceidiomycosis, Cat's scratch disease.2. Non-infective causes - Wegner's granulomatosis, RA, necrotizing sarcoidosis, hyalinizing granuloma, Idiopathic bronchocentric granulomatosis.